Which of the following is the common clinical manifestation of human parvovirus B 19 (HPV–19) infection ?
1. Aplastic crisis in hemolytic anemia patients
2. Anemia in neonatal period
3. Erythema infectiosum
4. Hydrops fetalis

Correct answer: 3. Erythema infectiosum